Inhaled sodium cromoglycate :
1. Prevents the antigen antibody combination
2. May cause cardiac arrhythmias
3. Is of benefit in preventing exercise induced bronchial  spasm
4. Is effective in alleviating an acute episode of allergic asthma

Correct answer: 3. Is of benefit in preventing exercise induced bronchial  spasm